Which of the following is not a complication of EALE's disease?
1. Rubeosis iridis
2. Retinal detachment
3. Neurovascular glaucoma
4. Optic neuritis

Correct answer: 4. Optic neuritis

Explanation: Eale's diseaseis a nonspecific inflammation of veins of the peripheral retina. Optic neuritis does not occur as a complication of Eale's disease. Common eye manifestations includes retinal hemorrhage, vitreous hemorrhage, retinal detachment, rubeosis iridis, complicated cataract and neovascular glaucoma. Reference: Textbook of Ophthalmology By H V Nema, 6e page 311.